Which of the following are unpaired vessel in CNS--
1. Anterior cerebral artery
2. Basilar artery
3. Posterior cerebellar artery
4. Posterior communicating artery

Correct answer: 2. Basilar artery

Explanation: Basilar artery  is single unpaired vessel, it is formed by right and left vertebral arteries, at lower border of pons and ends at upper border of pons by dividing into right and left posterior cerebral arteries.